Earliest feature of reversible cell injury is:
1. Amorphous densities
2. Ribosomal detachment
3. Hydropic Swelling
4. Bleb formation

Correct answer: 3. Hydropic Swelling

Explanation: Ans. (c) Hydropic SwellingRef: Robbiti's pathology 9th ed. /40REVERSIBLE CELL INJURY* Cell swelling* Detachment of ribosomes from Granular Endoplasmic Reticulum* Dissociation of polysomes into monosomes.* Plasma membrane blebbing, blunting, villous distortion, myelin figures, mitochondrial swelling, rarefaction,* Nuclear disaggregation of granular and fibrillar elements